In an adult patient with pleural effusion, which of the following is the most appropriate site for pleurocentesis?
1. 5th intercostal space in mid clavicular line
2. 7th intercostal space in mid axillary line
3. 2nd intercostal space adjacent to the sternum
4. 10th intercostal space adjacent to the vertebral column

Correct answer: 2. 7th intercostal space in mid axillary line

Explanation: In an adult patient with pleural effusion, pleurocentesis is done by inserting a needle in the 7th intercostals space in the mid axillary line. Safest site for insertion of chest drain is in the triangle: Anterior to mid axillary line Above the level of the nipple Below and lateral to the pectoral is major muscle This will ideally find the fifth intercostals space. Ref: Textbook of Pediatrics Iap By Parthasarathy - Jaypee Brothers, Medical Publisher, 3rd Edition, Pages 459-60; Bailey and Love's Short Practice of Surgery, 25th Edition, Page 880; Davidson's Principles and Practice of Medicine, 21st Edition, Page 660